Cerebroside contains which sugar:
1. Ribose
2. Fructose
3. Galactose
4. Pentose

Correct answer: 3. Galactose

Explanation: CerebrosidesIt is the common name for a group of glycosphingolipids called monoglycosylceramides which are important components in animal muscle and nerve cell membranes.They consist of a ceramide with a single sugar residue at the 1-hydroxyl moiety.The sugar residue can be either glucose or galactose; the two major types are therefore called glucocerebrosides and galactocerebrosides.Galactocerebrosides are typically found in neural tissue, while glucocerebrosides are found in other tissues.